All of the following are types of Primary headache except:
1. Migraine
2. Cluster
3. Tension
4. Temporal arteritis

Correct answer: 4. Temporal arteritis

Explanation: Types of headache: Primary headache Secondary headache Headache & its associated features occur in absence of exogenous cause. Types: Tension-type Migraine Idiopathic stabbing Exertional Cluster Headache caused by exogenous disorders. Types: Systemic infections Head injury Vascular disorders Subarachnoid hemorrhage Brain tumor EXTRA EDGE: Most common cause of headache = Tension headache MC cause of 2o headache = Infection MC cause of frontal headache= Tension headache MC cause of temporal headache = Giant Cell Vasculitis (MC vasculitis in geriatric age group)